Most common cause of Cushing's syndrome is
1. Exogenous corticosteroids
2. Pituitary tumor
3. Adrenal adenoma
4. Adrenal carcinoma

Correct answer: 1. Exogenous corticosteroids

Explanation: Causes of Cushing Syndrome: - Exogenous : External supplementation of glucocorticoids - Most common cause - Endogenous : Pituitary adenoma Ectopic ACTH secretion - Small cell lung cancer; Medullary thyroid cancer etc Adrenal causes - Adrenal hyperplasia / adenoma/ cancer